Optic tract fibers project to the superior colliculi for
1. Reflex gazes
2. Light reflex
3. Generation of circadian rhythms
4. Vertical nystagmus

Correct answer: 1. Reflex gazes

Explanation: Optic tract fibers project to the superior colliculi for reflex gazesPretectal area for the light reflexSuprachiasmatic nucleus of the anterior hypothalamus for generation of circadian rhythms